The BRCA-1 gene associated with breast cancer and ovarian cancer, is located on:
1. 17q
2. 17 p
3. 22q
4. 18q

Correct answer: 1. 17q

Explanation: 17q